Major source of cyanocobalamin vitamin is:-
1. Animal only diet
2. Plant only diet
3. Sunlight
4. None

Correct answer: 1. Animal only diet

Explanation: Vitamin B12 Synthesized exclusively by microbes. Dietary source is exclusively of animal origin Vitamin B12 deficiency clinical manifestations: Haematological: Megaloblastic anemia, Hypersegmentation of neutrophils. Neurological: Demyelination in peripheral nerves and spinal cord